Sternum attached to scapula via:
1. Manubrium
2. First rib
3. Second rib
4. Clavicle

Correct answer: 4. Clavicle

Explanation: Ans. D ClavicleRef: Gray's Anatomy 41st ed. P 799-800* Clavicle/collar bone is the connection between sternum and scapula* Sternal/Medial end: Attaches to manubrium of sternum and first coastal cartilage* Acromial end/Lateral end: Attaches to acromion on scapula - supports shoulder Sternoclavicular jointAcromioclavicular jointTypeSaddle type of synovial jointPlane type of synovial jointBone formingSternal end of clavicle and manubrium of sternumLateral end of clavicle with acromion process of scapulaLigamentsCostoclavicular ligament between 1st rib and clavicleCoracoclavicular ligament-very strong- between coracoid process of scapula and clavicle.Two parts-Conoid and Trapezoid ligaments